Increase in cAMP is caused by:
1. Somatostatin
2. β (Beta) receptor
3. α (Alpha) receptor
4. Acetylcholine

Correct answer: 2. β (Beta) receptor